Cicatricial alopecia is seen in –
1. Tenia capitis
2. Psoriasis
3. DLE
4. Alopecia aereta

Correct answer: 3. DLE